Causes of metabolic alkalosis include all the following except :
1. Mineralocorticoid deficiency Recurrent vomiting
2. Bartter's syndrome
3. Thiazide diuretic therapy
4. Recurrent vomiting

Correct answer: 1. Mineralocorticoid deficiency Recurrent vomiting

Explanation: Ans. is A Mineralocorticoid deficiency